The BODE index, a simple multidimensional grading system, is better than the FEV1 at predicting the risk of death from any cause and from respiratory causes among patients with COPD. Which of the following is not the component of BODE index?
1. BMI
2. Oxygen requirement
3. Dyspnoea
4. Exercise performance

Correct answer: 2. Oxygen requirement

Explanation: BODE index includesBMIAirflow ObstructionDyspnoeaExercise performance